Which of the following is not a synonym for "Postmortem Hypostasis"
1. Darkening of Death
2. Suggilations
3. Algor Mortis
4. Livor Mortis

Correct answer: 3. Algor Mortis

Explanation: Livor mortis (Latin: livor--"bluish color," mortis--"of death"), Postmortem lividity (Latin: postmortem--"after death", lividity--"black and blue"), hypostasis (Greek: hypo, meaning "under, beneath"; stasis, meaning "a standing") or suggillation, is the fourth stage and one of the signs of death. It is a settling of the blood in the lower (dependent) portion of the body postmortem, causing a purplish red discoloration of the skin. When the heart stops functioning and is no longer agitating the blood, heavy red blood cells sink through the serum by an action of gravity. Ref - Krishnan Vij 5th edition pg 82